35 yr old primigravida conceived after IVF cycle attends obstetrics clinic with 38 weeks gestation. Her obstetrics details reveals DiCho-DiAmn twins with 1st twin as breech. Her BP was 140/90 mmHg on 2 occasions with proteinuria +1. How will you manage this case?
1. Induction of labour
2. Plan a cesarean for termination
3. Watch for BP and induce of normal delivery on Expected Date of delivery
4. Watch for BP and terminate (vaginal/ Casarean) only when BP is normal.

Correct answer: 2. Plan a cesarean for termination

Explanation: First fetus of the twins is having breech presentation which demands C-section. Other mode of presentation and delivery Both Cephalicpresntation(60%)-Normal Vaginaldelivery can be done First cephalic 2nd breach-Normal Vaginal delivery can be done